Cremaster muscle is supplied by
1. Genital branch of genitofemoral nerve
2. Ilioinguinal nerve
3. Iliohypogastric nerve
4. Femoral nerve

Correct answer: 1. Genital branch of genitofemoral nerve

Explanation: Ans. a (Genital branch of genito-femoral nerve). (Ref. BD Chaurasia, Human Anatomy Vol. II 3rd ed. 172)CREMASTER# Cremaster Muscle consist of muscle fasciculi embedded in the cremasteric facia.# Fasciculi form loop that are attached laterally to inguinal ligament & medially to pubic tubercle, pubic crest, the conjoint lendon.# It is fully developed only in male.# It is supplied by Genital branch of the genitofemoral nereve (LI).# Its action is to suspend testis & can elevate it.# It also closes superficial inguinal ring by 'ball valve' mechanism when intraabdominal pressure is raised.# In UMN lesions above segment LI, Cremaster reflex is lost.